All of the following are true about Atrial Fibrillation, Except
1. Trisk of thromboembolism
2. digoxin for treatment
3. anticoagulation not required
4. aspirin given

Correct answer: 3. anticoagulation not required

Explanation: Answer is C (Anticoagulation not required) Anticoagulation is required in patients with Atrial fibrillation. AF is associated with increased risk of Thromboembolism Atrial fibrillation is associated risk with increased risk of thromboembolism as a result of stasis of blood and thrombus formation in left atrium AF is thus an important risk factor for stroke and systemic embolism Anticoagulation is required in patients with AF Because of increased risk of stroke in association with AF, anticoagulation is of particular importance in patients who have known risk factors for AF. Urgent Anticoagulation is achieved with Heparin. Chronic anticoagulation is achieved with Warfarin.